A 7 year old boy presented with sudden onset petechiae and purpura. There was a history of URTI 2 weeks back. On examination, there was no hepatosplenomegaly. He is most probably suffering from:
1. ALL
2. Acute viral infection
3. ITP
4. Aplastic Anemia

Correct answer: 3. ITP

Explanation: Ans. (c) ITP(Ref: 9th/pg 657-658; 8th/pg 667-668)A 7 year old boy presented with sudden onset petechiae and purpura with a history of URTI 2 weeks back and there is no hepatosplenomegaly. He is most probably suffering from ITP. For complete discussion on ITP; Refer to pretext of this chapter.